Ostamann fat pad is related to
1. Ear lobule
2. Buccal mucosa
3. Eustachian tube
4. Tip of nose

Correct answer: 3. Eustachian tube

Explanation: It is related laterally to the membranous part of the eustachian tube.It helps to keep the tube closed and thus protect it from the reflux of nasopharyngeal secretions. Vertical section of Eustachian tube- Ref: Dhingra 6th edition pg. no - 57